Which of the following organ manifests liquefactive necrosis?
1. Heart
2. Brain
3. Lungs
4. Spleen

Correct answer: 2. Brain

Explanation: Liquefactive necrosis occurs in situations in which enzymatic breakdown is more prominent than protein denaturation or in organs that lack a substantial protein-rich matrix (e.g., lipid-rich organs such as the brain). Coagulative necrosis is the type of necrosis in which protein denaturation is more prominent than enzymatic breakdown. It may occur in any organ. Ref: Wyatt C., Butterwoh IV J.F., Moos P.J., Mackey D.C., Brown T.G. (2008). Chapter 1. Cellular Pathology. In C. Wyatt, J.F. Butterwoh IV, P.J. Moos, D.C. Mackey, T.G. Brown (Eds), Pathology: The Big Picture.